Ketone bodies not utilized by:
1. Brain
2. RBC
3. Heart
4. Skeletal muscle

Correct answer: 2. RBC

Explanation: Major fuel in different organs